Which of the following test is not a test for helicobacter pylori infection?
1. Fecal antigen test
2. Barium swallow
3. Microbiological culture
4. Rapid rease test

Correct answer: 2. Barium swallow

Explanation: Division's principles and practice of medicine 22nd edition. *non invasive tests-serology ,urea breath test ,fecal antigen test. Invasive tests-histology,rapid urease test,microbiological culture.